True about Bicalutamide is :
1. Binds to androgen receptor
2. Causes gynaecomastia
3. It can be given as monotherapy in prostatic carcinoma
4. All are true

Correct answer: 4. All are true